The enzyme activated with low Insulin : Glucagon ratio is?
1. Glucose 6-phosphate dehydrogenase
2. Glucokinase
3. Pyruvate kinase
4. Glucose - 6 - Phosphatase

Correct answer: 4. Glucose - 6 - Phosphatase

Explanation: Insulin is released in Fed state. Low Insulin:Glucagon ratio means =Catabolic state (As low insulin means Fasting state or catabolic state) Insulin activates all anabolic enzymes with exception that it also promotes catabolic pathways glycolysis and link reaction. Enzmes Pathway Fed state activity Fasting state activity Glucokinase Glycolysis Increased Low Pyruvate Kinase Glycolysis Increased Low Glucose 6-phosphate dehydrogenase HMP Increased Low Glucose 6 Phosphatase Gluconeogenesis Low Increased